All of the following can cause neuropathies with predominant motor involvement except -
1. Acute inflammatory demyelinating polyneuropathy
2. Acute intermittent porphyria
3. Lead intoxication
4. Arsenic intoxication

Correct answer: 4. Arsenic intoxication